Sheehans syndrome is related to -
1. Panhypopituitarism
2. Hypothyroidism
3. Hypogonadism
4. Hyperparathyroidism

Correct answer: 1. Panhypopituitarism

Explanation: Ans. is 'a' i.e., Panhypopituitarism Sheehan syndromeo Is a condition which develops following severe postpartum haemorrhage causing pituitary necrosis, by thrombosis of its vessels, leading to panhypopituitarism.